All of the following effects can occur if vagus is stimulated, except:
1. Reduction in blood pressure
2. Increase in secretions of the intestine
3. Intestinal musculature constriction
4. Bronchial musculature relaxation

Correct answer: 4. Bronchial musculature relaxation

Explanation: Ans. D: Bronchial musculature relaxation